Cystic compressible, translucent swelling in the posterior triangle of neck:-
1. Cystic hygroma
2. Branchial cyst
3. Thyroglossal cyst
4. Dermoid cyst

Correct answer: 1. Cystic hygroma

Explanation: Cystic compressible, translucent swelling in the posterior triangle of neck is cystic hygroma. CYSTIC HYGROMA Multiloculated cystic spacesQlined by endothelial cells Due to sequestration of a portion of jugular lymph sac from the lymphatic systemQ. Cysts are filled with clear lymph and are lined by endotheliumQ. Turner's syndromeis associated with cystic hygromaQ. Most cystic hygromas involve the lymphatic jugular sacs MC site: Posterior neck regionQ(Posterior triangleQ) Other common sites: Axilla, mediastinum, inguinal & retroperitoneal regionsQ CLINICAL FEATURES Usually present as soft cystic masses that distort the surrounding anatomy, can result in acute airway obstruction. Usually manifests in the neonates or in early infancyQ(50% present at birth). Characteristic feature: Brilliantly translucentQ